Insertion of levator scapulae is ?
1. Lateral border of scapula
2. Suprolateral part of scapula
3. Superior part of medial scapula border
4. Inferior angle of scapula

Correct answer: 3. Superior part of medial scapula border

Explanation: Ans. is'c' i.e., Superior part of medial scapula borderOrigin:Posterior tubercles of transverse processes of C 1 - C4 vertebrae.Insertion:Superior part of medial border of scapula